Declaration of Geneva is related with
1. Medical etiquette
2. Disciplinary control
3. Hippocratic oath
4. Professional misconduct

Correct answer: 3. Hippocratic oath

Explanation: C i.e. Hippocratic oath